Roentgen is the unit of:
1. Radioactivity
2. Radiation exposure
3. Absorbed dose
4. None of the above

Correct answer: 2. Radiation exposure

Explanation: Ans. B: Radiation Exposure The curie, named after scientist Marie Curie, is a unit of measurement used to measure how radioactive an object is, or how much radiation it produces. This is done by examining how fast its atoms disintegrate and measuring their disintegration per second. Roentgen, on the other hand, is a radiation unit that indicates how much radiation is present in the air of a specific environment. This is used to show how much radiation may be absorbed by standing in a particular place for a certain amount of time. One roentgen of gamma- or X-ray exposure produces approximately 1 rad (0.01 gray) tissue dose. More common than these two are the rad and the rem. These two units can measure any type of ionizing radiation, including alpha, beta, neutron, gamma and "X," and deal with how much radiation is absorbed by objects. Rad stands for "radiation absorbed dose." One rad equals 100 ergs (an energy unit) absorbed by 1 g of material. Rads are used to show how much radiation any object, especially things like metal and stone, has absorbed. Rem (dose equivalent)is a strictly biological measurement, and stands for "roentgen equivalent man," meaning that it is the same essential measurement as a roentgen, only applied to the human body, although this works only with gamma and "X" types of radiation. Rem is used to define limits of exposure for people who work in nuclear power plants. Rem is often divided in millirems and assigned a length of time, such as millirems per hour. Curie/ becquerel is the unit of radioactivity.